In stupor catatonia, all are seen except -
1. Agitation
2. Catalepsy
3. Mutism
4. Akinesia

Correct answer: 1. Agitation

Explanation: Ans. is 'a' i.e., Agitation o Agitation is seen in excited catatonia (not is stupor catatonia),o Features of catatonic schizophrenia may beExcited catatonia It is characterized by increased in psychomotor activity, i.e. restlessness, agitation, excitement, aggressiveness, violence. The impulsive activity occurs in response to hallucination and delusions.Stuporous (retarted catatonia) It is characterized by extreme retardation of psychomotor activity. It includes mutism, rigidity, negativism, posturing, stupor, echolalia, echoproxia, catalepsy (waxy flexibility), ambitendency, gegenhalten, stereotypies, stupor, mannerism, Grimicing, automatic obedience.